Which of these is the most important prognostic factor in ALL?
1. Hyperploidy
2. Total leucocyte count greater than 50,000
3. Age
4. Response to steroids

Correct answer: 4. Response to steroids

Explanation: Responds to steroids is the most consistent marker in the patients of ALL. (ref Robbins 9th/590-593)